A 60 year old woman comes for pre-anaesthetic evaluation for cataract repair. She is known diabetic, and hypertensive on medications. She also history of dyspnea while walking upstairs. Her ecg shows normal sinus rhythm with left axis deviation. What is your approach towards the patient
1. Order treadmill test for further cardiac evaluation
2. Perform 2d echocardiography
3. No need of further testing , proceed with the surgery
4. Declare patient to be unfit for surgery.

Correct answer: 3. No need of further testing , proceed with the surgery

Explanation: This patient does not have an acute cardiac condition and moreover cataract is a low risk surgery. Thus one can proceed with surgery without further testing.